Atonic uterus is more common in:
1. Cesarean section
2. Multigravida
3. Primigravida
4. Breech delivery

Correct answer: 2. Multigravida

Explanation: Ans. is b, i.e. MultigravidaRef. Dutta Obs. 7/e, p 411Friends, in the text question I have listed the predisposing factors for Atonic PPH. The list is long, but I remember I did not use any mnemonic for memorising it during my undergraduate and postgraduate exams. I memorized it by:Obstetric history which points towards PPH:Grand multiparaQ due to laxed abdomenH/o atonic PPHQ or adherant placentaExamination findings which point towards PPH:Obesity:Malnutrition and/or anemiaOverdistended uterus due to:- HydramniosQ- Multiple pregnancyQ- MacrosomiaQGynaecological disorders:- Fibroid uterus- Uterine malformationsFactors increasing the risk of PPH at the time of delivery:Precipitate laborProlonged laborInadvertent use of oxytocicsUse of general anaesthesiaMismanagement of third stage of laborRetained placental bits.As far as hypertension (Option 'a') is concerned.Remember: Hypertension can lead to Antepartum hemorrhage (abruptio placenta), but not PPH.